A fungicidal drug that can be used orally for the treatment of onychomycosis is :
1. Griseofulvin
2. Amphotericin B
3. Clotrimazole
4. Terbinafine

Correct answer: 4. Terbinafine